Which of the following is/are non-random sampling methods-a) Quota samplingb) Stratified random samplingc) Convenience Samplingd) Cluster Sampling
1. a
2. bc
3. ad
4. ac

Correct answer: 4. ac